Which of the following is false regarding frontal sinusitis -
1. Pain shows periodicity'
2. Most common sinus involved in infants and children
3. Pain is referred to as office headache
4. Tenderness is present just above the medial canthus of eye

Correct answer: 2. Most common sinus involved in infants and children

Explanation: Ans. is 'b' i.e., Most common sinus involved in infants and children o Most common sinus involved in infant and children is Ethmoid sinus.Clinicaljcatures of acute sinusitiso Most common presenting patient's compliant is persistent nasal discharge w hich can be of any quality (thin, thick, clear, or purulent). Nasal discharge from a sinus infection can be blood-tinged from excessive nose blowing and irritation. The clinical symptoms of acute sinusitis have been classified into major and minor.MajorMinoro Facial pain or pressureo Purulent nasal dischargeo Fevero Nasal congestiono Nasal obstructiono Hyposmia or Anosmiao Facial congestion or fullnesso Headacheo Cougho Fatigueo Halitosiso Dental paino Ear pain or pressureo For diagnosis 2 major or one major & two minor symptoms are required.o All sinus infections have some common symptoms* including thick, yellow green discharge and a stuffy nose. However, the location of pain can signal which sinus is affected :-Maxillary sinusitiso Pain is situated over upper jaw, and may referred to gums or teetho Tenderness over the prominence of cheek (on anterior wall of antrum)Frontal sinusitiso Frontal headache over the affected sinuso Headache has characteristic periodicity', i.e. office headacheo Tenderness on the floor of frontal sinus just above medial canthusEthmoid sinusitiso Pain is over the bridge of nose, medial & deep to the eye, i.e. pain is between two eyeso Pain is aggravated by movements of eye ballSphenoid sinusitiso Transient headache located deep behind the eye, vertex and occiput